Heart failure cells contain -
1. Hemosiderin
2. Lipofuschin
3. Myoglobin
4. Albumin

Correct answer: 1. Hemosiderin

Explanation: Hemosiderin-containing macrophages in Left heart failure.Note-It is present in the Lungs